Sliding constituent of a large direct hernia is :
1. Bladder
2. Sigmoid colon
3. Caecum
4. Appendix

Correct answer: 1. Bladder

Explanation: Sigmoid colon and Caecum slide into indirect sac not in direct sac.